On sectioning of an organ at the time of autopsy, a focal, wedge-shaped firm area is seen accompanied by extensive hemorrhage, with a red appearance. The lesion has a base on the surface of the organ. This findings is typically of -
1. Lung with pulmonary thromboembolism
2. Heart with coronary thrombosis
3. Liver with hypovolemic shock
4. Kidney with septic embolus

Correct answer: 1. Lung with pulmonary thromboembolism

Explanation: Ans. is 'a' i.e., Lung with pulmonary thromboembolism o This is red infarct that is typically seen in lung. o Heart, liver and kidney (Solid organs) develop white infarct.